All the following are causes of Disseminated Intravascular Coagulation (DIC), except :
1. Intrauterine death
2. Missed abortion
3. Abruptio placentae
4. Multiple pregnancy

Correct answer: 4. Multiple pregnancy

Explanation: Multiple pregnancy